HPV is associated with ?
1. Carcinoma lung
2. Carcinoma brain
3. Carcinoma kidney
4. Carcinoma head neck

Correct answer: 4. Carcinoma head neck

Explanation: Ans. is 'd' i.e., Carcinoma head neck Cancers associated with HPV are :?Cervical carcinomaAnal carcinomaVulvar carcinomaPenile carcinomaVaginal carcinomaOropharyngeal carcinoma (soft palate, base of tongue, tonsils).